Parathyroid adenoma most commonly involves which of the following site
1. Thyroid substance
2. Superior parathyroid lobe
3. Inferior parathyroid lobe
4. In the mediastinum

Correct answer: 3. Inferior parathyroid lobe

Explanation: Adenomas are most often located in the inferior parathyroid glands, but in 6-10% of patients, parathyroid adenomas may be located in the thymus, the thyroid, the pericardium, or behind the esophagus.